Melting temperature of DNA is:-
1. Proportional to AT pairs
2. Proportional to GC pairs
3. No relation with base pair composition
4. Directly proportional to length of DNA

Correct answer: 2. Proportional to GC pairs

Explanation: Denaturation or melting of two DNA strands means the separation of the two strands of DNA. In this process, hydrogen bonds between the complementary base pairs are broken, leading to separation Melting temperature (Tm) of DNA- that temperature at which half of the DNA duplex gets dissociated to become single-stranded. Tm of DNA is between 85-95degC. *Primers with melting temperatures in the range of 52-58degC generally produce the best results. *Tm is proportional to G C pairs because there are three hydrogen bonds between G & C, as compared to the two hydrogen bonds between A & T. So more G C content gives thermostability to DNA. *For every 10 % increase in G C content, melting temperature raises by 5degC.